A 50 year old male patient complains of reduced mouth opening. Patient gives h/o RTA 1 week back. Submentovertex view x-ray was taken which revealed zygomatic arch fracture. Which of the following is true regarding the central beam in this x-ray-
1. It is parallel to the image receptor
2. It is directed from skull to the mandible
3. It is centered about 2 cm anterior to a line connecting the right and left condyles
4. It is posterior to a line connecting the right and left coronoid process

Correct answer: 3. It is centered about 2 cm anterior to a line connecting the right and left condyles

Explanation: Submentovertex view-
The central beam is perpendicular to the image receptor, directed from below the mandible toward the vertex of the skull (hence the name submentovertex), and centered about 2 cm anterior to a line 
connecting the right and left condyles.
White and Pharoah, Oral radiology, ed 7th, pg-161